All of the following are true regarding hemolytic anemia except:
1. Raised haptoglobin levels
2. Raised unconjugated bilirubin
3. Reticulocytosis
4. Hemosiderinuria indicates intravascular hemolysis

Correct answer: 1. Raised haptoglobin levels

Explanation: Ans. A: Raised haptoglobin levelsIn hemolytic anemia, the level of unconjugated bilirubin in the blood is elevated. This may lead to jaundice. The level of lactate dehydrogenase (LDH) in the blood is elevatedHaptoglobin levels are decreasedIf the direct Coombs test is positive, hemolysis is caused by an immune process.Hemosiderin in the urine indicates chronic intravascular hemolysis.There is also urobilinogen in the urine. Peripheral blood smear microscopy:Fragments of the red blood cells ("schistocytes") can be presentSome red blood cells may appear smaller and rounder than usual (spherocytes)Reticulocytes are present in elevated numbers.